Mineralocorticoid receptors are present in all except:
1. Hippocampus
2. Colon
3. Liver
4. Kidney

Correct answer: 3. Liver